Stellate cells of Von Kupffer are seen in the sinusoids of which of the following organs-
1. Spleen
2. Bone marrow
3. Liver
4. Adrenal

Correct answer: 3. Liver

Explanation: Kupffer cells (or stellate macrophages) are seen in liver.